A 30 year ols woman presented with secondary amenorrhoea for 3 years along with galactorrhea. The most likely cause of her symptoms would be -
1. Craniopharyngioma
2. Prolactinoma
3. Meningioma
4. Sub-arachnoid haemorrhage

Correct answer: 2. Prolactinoma

Explanation: prolactinoma stimulate pituitary causing excessive milk secretion and it also inhibit GnRH causing decreased FSH &LH level causing secondary amenorrhea (Harrison 17 pg 2206)